Ekbom syndrome is:-
1. Narcolepsy
2. Restless leg syndrome
3. Pica
4. Delusion of nihilism

Correct answer: 2. Restless leg syndrome

Explanation: Restless leg syndrome / Ekbom syndrome. Sensorimotor disorder, commonly seen in 5-15% of the population. Affects females and after 40 years. 4 salient diagnostic features being: Urge to move limbs, commonly associated with premonitory sensory discomfort Motor restlessness Relief by activity Evening/Night worsening Pathophysiological explanations or mechanisms attributed are: Dysregulation of dopamine transmission Intracellular iron dysregulation. This can be objectively substantiated by decreased CSF ferritin and prohepcidin (Intracellular regulatory protein for iron) levels.